About direct standardization all are true except
1. Age specific death rate is not needed
2. A standard population is needed
3. Population should be comparable
4. Two populations are compared

Correct answer: 1. Age specific death rate is not needed

Explanation: ref: Park's 23rd edition pg 58 Direct standardisation involves selection of a standard population which is defined as the one for which the number in each age and sex group are known. hence we require age specific death rate for comparison.